Which of the following drug is used for treatment for steroid resistant Crohn's disease?
1. Leflunomide
2. Mesalamine
3. Infliximab
4. None of the above

Correct answer: 3. Infliximab

Explanation: Inflammatory Bowel Disease Ulcerative Colitis - Drug of choice is 5 - ASA preparation e.g. Sulfasalazine, Mesalamine - If these are not effective then steroids are used. Crohn's Disease - Drug of choice for Crohn's disease is steroids - TNF-alpha inhibitors are used in steroid resistant cases IN-Infliximab C- Certolizumab A-Adalimumab G-Golimumab E- Etanercept - These TNF -alpha inhibitors are contraindicated in TB and Hepatitis- B.